Diagnosis in a 10 year old boy with reccurent epistaxis and a unilateral nasal mass is:
1. antrochoanal polyp
2. Hemangioma
3. Angiofibroma
4. Rhinolith

Correct answer: 3. Angiofibroma

Explanation: Reccurent epistaxis in a 10 year old boy with unilateral nasal mass is diagnostic of juvenile nasopharyngeal fibroma. Ref Dhingra 6/e,p 246.